D-Xylose test is used in diagnosis of:
1. Zinc deficiency
2. Malabsorption syndrome
3. Vitamin B12 deficiency
4. Bacterial undergrowth syndrome

Correct answer: 2. Malabsorption syndrome

Explanation: option b : D-Xylose test is used in diagnosis of malabsorption syndrome D-xylose: monosaccharide (pentose). doesn't require enzymes for digestion. It's absorption requires an intact mucosa only. In contrast, polysaccharides like starch require enzymes, such as amylase, to break them down, so that they can be absorbed as monosaccharides. Xylose after absorption is incompletely metabolized in the body excreted in urine within 24 hours. D- Xylose test is a screening test for malabsorption. | urinary excretion of Xylose is seen in malabsorption. Test helps to differentiate intestinal malabsorption (| D-xylose absorption) from pancreatitis (normal D-xylose absorption)